Injury to the Ulnar nerve at the wrist causes paralysis of -
1. Apposition of the thumb
2. Abduction of the carpo-metacarpal joint of the thumb
3. Adduction of the thumb
4. Flexion of the MCP joint of the middle finger

Correct answer: 3. Adduction of the thumb

Explanation: In low ulnar nerve palsy
-        Adducttion of thumb is lost
-        Ulnar claw hand
-        Medial one and half fingers sensory loss
-        Clumsy grip
-        Loss of flexion at metacarpophalangeal joints.